Drugs used for the treatment of acute variceal bleeding are all except:
1. Octreotide
2. Somatostatin
3. Desmopressin
4. Terlipressin

Correct answer: 3. Desmopressin